Embryonic period is up to:
1. 8 weeks
2. 10 weeks
3. 12 weeks
4. 6 weeks

Correct answer: 1. 8 weeks

Explanation: a. 8 weeks(Ref: Nelson's 20/e p 84, Ghai 8/e p 96)Embryo refers to the product of conception from the day of fertilization (generally 14th day post ovulation) to 8weeks.